Hereditary retinoblastomas develop from the following chromosomal deletion?
1. 13 q14
2. 13 p14
3. 14 p13
4. 14 q13

Correct answer: 1. 13 q14

Explanation: Retinoblastoma (RB) gene has been identified as 14 band on the long-arm of chromosome 13 (13q14) and is a 'cancer suppressor' or 'antioncogenic' gene.Deletion or inactivation of this protective gene by two mutations (Knudson's two-hit hypothesis) results in the occurrence of retinoblastoma.Ref: Khurana; Comprehensive ophthalmology; 4th edition; Page no: 280